Which type of Distraction osteogenesis does not involve transport disc?
1. Unifocal
2. Bifocal
3. Trifocal
4. Alveolar Distraction

Correct answer: 1. Unifocal